After Phase II reaction the drug shows:
1. Less bioreactive
2. Increased bioavailability
3. Increased water solubility
4. Increased lipid solubility

Correct answer: 3. Increased water solubility

Explanation: Ans: c (Increased water solubility)Ref: KD Tripathi 6th ed. Pg. 24-25Phase II reactions makes the drug more water souble and is easily excreted in urine or bile.Biotransformation reactionsPhase I: It is also called nonsynthetic or functionalization reaction. In this reaction a functional group is exposed or generated.Eg: Oxidation: Eg - Hydroxylation (most important oxidation reaction) is by cytochrome P 450ReductionHydrolysisPhase II: It is also called synthetic or conjugation reaction. These reactions involve conjugation of the M drug or phase I metabolite with an endogenous substance to form a polar highly ionized and water soluble organic acid which is easily excreted in urine.* Eg - Glucuronide conjugation* Acetylation* Methylation* Sulfate conjugation* Glycine conjugation* Glutathione conjugation* Nucleotide synthesis After phase II reaction most of the metabolite become inactive (except morphine and minoxidil), so the (a) choice is partially correct. But the most appropriate answer is that phase II reaction increases their water solubility.